Patellar plexus is formed by which nerve
1. Lateral cutaneous nerve
2. Intermediate cutaneous nerve
3. Medial cutaneous nerve
4. All of the above

Correct answer: 4. All of the above

Explanation: Patellar Plexus - It is a plexus of fine nerves situated in front of the patella, the ligamentum patellae and the upper end of the tibia. It is formed by contributions from: (a)The anterior division of the lateral cutaneous nerve, (b) the intermediate cutaneous nerve, (c) the anterior division of the medial cutaneous nerve, and (d) the infrapatellar branch of the saphenous nerve. Ref : B D Chaurasia's Human Anatomy, seventh edition , volume 2, pg. np., 46.